Which appendix pain is referred to suprapubic region with pain on internal rotation of hip -
1. Pre ileal
2. Pelvic
3. Post ileal
4. Paracolic

Correct answer: 2. Pelvic

Explanation: Ans. is 'b' i.e., Pelvic Pelvic appendicitis can present with* Absence of abdominal wall rigidity and tenderness* Tenderness in retrovescial pouch* Hypogastric or suprapubic pain* Obturator sign: pain on internal rotation of the hip (suggesting a pelvic appendix)* Diarrhoea due to rectal irritation* Increased frequency of micturition due to contact of the inflamed appendix with bladder